Caudal regression syndrome is specifically seen in babies of mother having
1. Diabetes
2. PIH
3. Cardiac disease
4. Anaemia

Correct answer: 1. Diabetes

Explanation: Congenital malformations in diabetes Cardiac defects are most common (transposition of great vessels and VSD) Neural tube defects like anencephaly and spina bifida Caudal regression syndrome or sacral agenesis is the congenital defect which is specific to diabetes Reference: Textbook of Obstetrics; Sheila Balakrishnan; 2nd edition; Page no:243